A30 year old factory worker developed itchy, annular, scaly plaques in both goins which are extending peripherally. Most likely diagnosis is -
1. Granuloma annulare
2. Annular lichen planus
3. Tinea cruris
4. Erythema annulare centrifugum

Correct answer: 3. Tinea cruris

Explanation: Ans. is 'c' i.e., Tinea cruris Tinea cruriso Also k/a Dhobi's itch. It is a dermatophytic infection of groin region and adjacent skin. Presents as erythematous scaly plaque with clear centre and raised margins. Itching is very prominent. Commonly involves genital area and medial aspects of thigh. Usually affects young adult male, trichophyton rubrum is the most common cause in india where as in western countries epidermophvton flocossum is the most common cause.